Which of the following is not true regarding competitive inhibition?
1. Km increases
2. Inhibitor is structural analog of substrate
3. Statins are competitive inhibitors of HMG CoA Reductase
4. Excess substrate do not abolish the inhibition

Correct answer: 4. Excess substrate do not abolish the inhibition

Explanation: In competitive inhibition, since the inhibitor is structural analog of substrate, excess substrate can abolish the inhibition.